Commonest cause of non-engagement at term, in priori is :
1. CPD
2. Hydramnios
3. Brow presentation
4. Breech

Correct answer: 1. CPD

Explanation: CPD